HLA B27 histocompatibility antigen is correlated With
1. Sjogren's disease
2. Ankylosing spondylitis
3. Felty's syndrome
4. Scleroderma

Correct answer: 2. Ankylosing spondylitis

Explanation: REF:HARRISONS PRINCIPLE'S OF INTERNAL MEDICINE 18TH EDITION